A newborn is evaluated at 1 and 5 minutes following birth. Evaluation of the infant at 5 minutes showed pink body and blue extremities, heart rate of 90, with slow respiratory effort actively moving the extremities and was coughing when catheter was inserted into nostril. What is the APGAR score of the infant at 5 minutes?
1. 5
2. 6
3. 7
4. 8

Correct answer: 3. 7

Explanation: The APGAR score of this infant is, pink body and blue extremities: 1, HR 90: 1, slow respiratory effort : 1, moving extremities: 2 and coughing in response to irritation with catheter: 2. o the total score is 7. APGAR score:It is evaluated at 1 and 5 minutes of age. SCORE SCORE SCORE 0 1 2 Heart rate Absent Slow (< 100) > 100 Respiratory effort Absent Slow, irregular Good, crying Muscle tone Limp Some flexion Active motion Response to catheter in nostril No response Grimace Cough or sneeze Color Blue or pale Pink body and blue extremities Completely pink Ref: Thilo E.H., Rosenberg A.A. (2012). Chapter 2. The Newborn Infant. In W.W. Hay, Jr., M.J. Levin, R.R. Deterding, J.J. Ross, J.M. Sondheimer (Eds),CURRENT Diagnosis & Treatment: Pediatrics, 21e.